In a survey, many children are examined and were found to have urogenital abnormalities. Which congenital anomaly is associated with increased risk of bladder carcinoma?
1. Medullary sponge kidney
2. Bladder extrophy
3. Unilateral renal agenesis
4. Double ureter

Correct answer: 2. Bladder extrophy

Explanation: Ectopia vesicae(extrophy of the bladder)is incomplete development of the infraunbilical part of the anterior abdominal wall and anterior bladder wall.Umbilicus is absent & there is separation of pubic bones.In males,epispadias is commonly present with rudimentary prostate & seminal vesicle In females,defective external genitalia is common.Problems associated with bladder extrophy are repeated soakage,ulceration,pain,recurrent pyelonephritis,renal failure,Metaplastic changes in mucosa can lead into adenocarcinoma of bladder. Reference:SRB's manual of surgery,5th edition,page no:1029